The following cytotoxic drug acts by inhibiting depoly merization of tubulin and thus producing abnormal arrays of microtubules
1. Vinblastine
2. Paclitaxel
3. Etoposide
4. Mitoxantrone

Correct answer: 2. Paclitaxel

Explanation: Taxanes mechanism of action:- It binds to b-tubulin and enhances its polymerization. The microtubules are stabilized and their depolymerization is prevented. This stability results in inhibition of normal dynamic reorganization of the microtubule network that is essential for interphase and mitotic functions. Adverse effects:- Reversible myelosuppression (mainly granulocytopenia) and 'stocking and glove' neuropathy. Nausea, chest pain, arthralgia, myalgia, mucositis and edema. Ref :- kd tripathi; pg num:-865,866